Pain felt between great toe and 2nd toe is due to involvement of which nerve root -
1. L5
2. S2
3. S1
4. S3

Correct answer: 1. L5

Explanation: First web space of foot is supplied by deep peroneal nerve (L5)